Mousy odour urine is seen in –
1. Maple syrup urine
2. Phenylketonuria
3. Isovalericaciduria
4. Cystinuria

Correct answer: 2. Phenylketonuria